Anti phospholipid antibody syndrome is characterized by all the following features except -
1. Thrombocytosis
2. Arterial and venous thrombosis
3. Recurrent abortions
4. Livedo reticularis

Correct answer: 1. Thrombocytosis

Explanation: The clinical manifestations of APLA syndrome includes adverse pregnancy outcome (recurrent first trimester abortion ),venous & arterial thromboembolism,livedo reticularis,transverse myelitis,skin necrosis & chorea.Reference :Davidson's principles & practice of medicine 22nd edition pg no 1055.